The tissue stops should engage buccal and lingual slopes of residual ridge for
1. Stability
2. Support
3. Retention
4. Reciprocation

Correct answer: 1. Stability